Serotonin is produced from?
1. Tryptophan
2. Phenylalanine
3. Tyrosine
4. Melatonin

Correct answer: 1. Tryptophan

Explanation: Ans. a (Tryptophan). (Ref. Harper, Biochemistry, 25th/pg.352)AMINOACIDDERIVATIVESPhenylalaninePhenylalanine - tyrosine - dopa - norepinephrine - epinephrine.Phenylalanine - tyrosine - dopa - dopamine - Melanin.Phenylalanine - tyrosine - Thyroxine.Tryptophani) Niacinii) Serotoniniii) Melatonindegiv) 5-HIAAHistidineHistamine (By decarboxylation)0ErgothionineCarnosineAnserineGlycinePorphyrin and haeme,PurinesCreatine (totally madeup of glycine + arginine + methionine--GAM)Glutathione (totally made up of glycine + cystine* glutamate)Glychocholic acid Hippuric acidArginineCarnitineUreaCreatinePutrescineSpermine and spermidineNitric oxide (a NT, vasodilator and smooth muscle relaxant)MethionineCholineSpermine and spermidineb-alanineCysteineCoACarnosineCysteineCoATaurine